Cochlear basal turn dysplasia is known as
1. Michel dysplasia
2. Scheibe dysplasia
3. Alexander dysplasia
4. Bing Schiebenmann dysplasia

Correct answer: 3. Alexander dysplasia

Explanation: Congenital malformations of the inner ear Complete labyrinthine aplasia (Michel), Complete membranous labyrinthine dysplasia (Siebenmann-Bing), Cochleosaccular dysplasia (Scheibe), Cochlear basal turn dysplasia (Alexander) Alexander dysplasia : It affects only the basal turn of membranous cochlea. Thus only high frequencies are affected. Residual hearing is present in low frequencies and can be exploited by amplification with hearing aids. Ref : Diseases of ENT by Dhingra 6th edition Pgno : 115